Verapamil is contraindicated in all, except ?
1. PSVT with AV Block
2. Variant angina
3. Beta adrenergic toxicity
4. Digitalis toxicity

Correct answer: 2. Variant angina

Explanation: Ans. is 'b' i.e., Variant angina "All CCBs are effective in reducing frequency and severity of classical as well as variant angina". Due to these cardiodepressant effects, it is C/I in the following conditions. Sick sinus syndrome (causes cardiac arrest) A- V block (Accentuate conduction defects) Congestive heart failure Hypotensive states Ventricular tachycardias AF with accessory pathway or WPW syndrome. o Other conditions in which Verapamil is C/I. Digoxin toxicity ---> Increases plasma digoxin level by decreasing its excretion, toxicity can develop. Quinidine and disopyramide ---> Both these drugs have cardiac depressant action. Verapamil is not used with b blockers because their depressant effect on SA and AV node may add up. b